Point B in cervical radiotherapy represents
1. Sentinel Lymph nodes
2. Internal iliac Lymph nodes
3. External iliac Lymph nodes
4. Obturator Lymph nodes

Correct answer: 4. Obturator Lymph nodes

Explanation: Point A: 2cm cephalic and lateral to the external os It is the point of crossing of uterine artery and ureter It receives 7000-8000cGy Point B: 2cm cephalic and 5cm lateral at the same plane and is approximately the site of obturator gland It receives 2000cGy initially and rest of dose supplemented by external beam irradiation of 4000cGy spreading over another 3 weeks total of 6000cGy Ref: D.C.DUTTA'S TEXTBOOK OF GYNECOLOGY; 6th edition; Pg no:350